Vitamin deficiency associated with increase xanthurenic acid excretion in urine
1. Thiamine
2. Pyridoxine
3. Ascorbic acid
4. Niacin

Correct answer: 2. Pyridoxine